DNA synthesis requires:
1. DNA polymerase
2. DNA ligase
3. DNA topoisomerase
4. All

Correct answer: 4. All

Explanation: A i.e. DNA polymerase, B i.e.DNA ligase, C i.e. DNA topoisomerase